Which type of malignant melanoma has worse prognosis
1. Nodular melanoma
2. Superficial spreading melanoma
3. Acral lentiginous melanoma
4. Lentigo maligna melanoma

Correct answer: 1. Nodular melanoma

Explanation: Nodular melanoma is most aggressive and has worst prognosis,Well demarcated, smooth or nodular and pigmented tumour which may be amelanotic sometime.